Most common form of shock is:
1. Hypovolemic shock
2. Cardiogenic shock
3. Neurogenic shock
4. Septicemic shock

Correct answer: 1. Hypovolemic shock

Explanation: Ans. A: Hypovolemic shock Hypovolemic shock: Mild-Reduction in blood volume is less than 20% Moderate- Reduction in blood volume is between 20-40% Severe- Reduction in blood volume is more than 40% Physiological characteristics are: Raised systemic vascular resistance Reduced CVP, PCWP, cardiac output and venous oxygen saturation